Commonly used FNAC needle gauge ?
1. 26-29
2. 22-26
3. 18-22
4. 16-18

Correct answer: 2. 22-26

Explanation: Ans. is 'b' i.e., 22-26